Tonsils are absent in:
1. Wiskott-Aldrich syndrome
2. DiGeorge syndrome
3. X linked agammaglobulinemia
4. Chediak Higashi syndrome

Correct answer: 3. X linked agammaglobulinemia

Explanation: Tonsils are absent in X linked agammaglobulinemia